Hypothyroidism in sub-himlayan region is due to deficiency of
1. Iron
2. Iodine
3. Copper
4. Selenium

Correct answer: 2. Iodine

Explanation: Answer is B (Iodine): Hypothyroidism (and Endemic Goitre) in sub-himalayan region is primarily due to deficiency of iodine. 'Dietary iodine deficiency is widely prevalent in many parts of India, especially the sub-Himalayan region and is the principal cause of endemic goiter. Where the deficiency is severe, goiter, hypothyroidism and endemic cretinism is common'-'Pediatrics: A concise Test' by kabra Elsevier 2007/2 The most common cause of neonatal hypothyroidism (congenital hypothyroidism) is thyroid gland dysgenesis (80-85%). The most common of endemic goiter/hypothyroidism is iodine deficiency.